All the following cause microcytic hypochromic anemia , except
1. Lead poisoning
2. Thalassemia
3. Iron deficiency
4. Fanconi's anemia

Correct answer: 4. Fanconi's anemia

Explanation: Ref Harrison 19 th ed pg 644-665 Fanconi's anemia is a congenital disorder responsible for a form of aplastic anemia. It is a cause of normocytic normochromic anemia . It is a hypoproliferative anemia with a normocytic normochromic picture and a low reticulocyte count.